The earliest sign of papilloedema -
1. Filling of the physiological cup
2. The blurring of the disc margin
3. Obliteration of cup
4. Cotton-wool spots

Correct answer: 2. The blurring of the disc margin

Explanation: Ans. is 'b' i.e., Blurring of disc margin Ophthalmoscopic signs of papilloedema o Blurring of disc margin o Venous :- Engorgment, congestion, loss of pulsation (first sign) o Hyperemia of the disc with capillary dilatation. o Filling of physiological cup with gradual obliteration of physiological cup. o Gradual elvetion of disc (mushroom or dome shaped) with sharp bending of vessels over its margins. o Cotton- wool spots (soft exudates) and both flame shaped (superficial) and punctate (deep) hemorrhages o Macular fan or macular star due to hard exudates. o Late findings in long standing (vintage) papilloedema :- Markedly elevated disc with champagne cork appearance, post neuritic optic atrophy,corpora amylacea deposits on disc margin, generalized retinal pigmentation.